% of thiopentone used in induction
1. 0.50%
2. 1.50%
3. 2.50%
4. 4.50%

Correct answer: 3. 2.50%

Explanation: C i.e. 2.5%